All are radiological sign of Vit C defeciency except
1. White line of Frenkel
2. Wimberger line
3. Osteoporosis of bone
4. Widening of epiphysis

Correct answer: 4. Widening of epiphysis

Explanation: D i.e. Widening of Epiphysis Widening of physis (growth plate below epiphysis) also known as Epiphyseal growth plate (not epiphysis) is character stick feature of ricketsQ Enlargement or Widening of Ephphysis (bone ends) is seen in Juvenile chronic ArthritisQ